In buphthalmos, lens is:
1. Anteroposterior flat
2. Small
3. Large
4. None of the above

Correct answer: 1. Anteroposterior flat

Explanation: Ans. Anteroposterior flat